Which muscle is inserted in the floor of bicipital groove:
1. Pectoralis major
2. Serratus anterior
3. Teres major
4. Latissimus dorsi

Correct answer: 4. Latissimus dorsi

Explanation: Ans. D. Latissimus dorsiThe bicipital groove (intertubercular groove) is a deep groove on the humerus that separates the greater tubercle from the lesser tubercle. The bicipital groove lodges the long tendon of the biceps brachii and also transmits a branch of the anterior humeral circumflex artery to the shoulder joint. It gives attachment to the tendon of the pectoralis major on the lateral lip and the tendon of the teres major on the medial lip and Latissimus dorsi to its floor.